Instrumental conditioning in learning was introduced and demonstrated by:
1. Pavlov
2. Skinner
3. Freud
4. Watson

Correct answer: 2. Skinner

Explanation: Ans: B (Skinner) Ref: Pal GK. Physiology of Learning and memory: In: Textbook of medical physiology: Ahuja publishing house. 2007: 121: 919.Explanation:Operant conditioning (or instrumental conditioning) is a type of learning in which an individual's behavior is modified by its consequences; the behaviour may change in form, frequency, or strengthOperant conditioning is a term that was coined by B. F. Skinner in 1937Operant conditioning is distinguished from classical conditioning (or respondent conditioning) in that operant conditioning deals with the modification of "voluntary behaviour" or operant behaviour.Operant behavior operates on the environment and is maintained by its consequences, while classical conditioning deals with the conditioning of reflexive (reflex) behaviours which are elicited by antecedent conditions